The following are true about EBV except -
1. A member of herpes virus family
2. Infects epithelial cells of pharynx
3. The main target of virus is the T-cell lymphocytes
4. It is complicated in nasopharyngeal carcinoma

Correct answer: 3. The main target of virus is the T-cell lymphocytes

Explanation: The EB virus enters the pharyngeal epithelial cells through CD 21 receptors. It multiplies locally invades the bloodstream and infect B cells. REF:ANATHANARAYAN AND PANIKER'S TEXTBOOK OF MICROBIOLOGY 8TH EDITION PAGE NO:475